Leutic glossitis is an intra-oral manifestation caused by
1. Mycobacterium tuberculosis
2. Actinomycosis
3. Trepenoma pallidium
4. Streptococcus

Correct answer: 3. Trepenoma pallidium